The sickle shaped fold of dura mater
1. Falx Cerebri
2. Tentorium cerebelli
3. Falx cerebelli
4. Diaphragma sellae

Correct answer: 1. Falx Cerebri

Explanation: The falx cerebri is a large sickle-shaped fold of dura mater occupying the median longitudinal fissure between the two cerebral hemispheresRef: BD Chaurasia, Volume 3, 6th edition; Page no: 91